A patient was on DVT prophylaxis. All of the following has perforators which connect superficial veins to the deep veins except -
1. Ankle
2. Below inguinal ligament
3. Mid calf
4. Lower thigh

Correct answer: 2. Below inguinal ligament

Explanation: There are perforators at mid-thigh, knee, leg and ankle.